Initial treatment of keloid
1. Topical steroid
2. Intralesional steroid
3. Excision
4. Radiotherapy

Correct answer: 2. Intralesional steroid

Explanation: Answer- B. Intralesional steroidIntralesional injection of steroid (Triamcinolone acetate) is now recommended as the first line of t/t for keloid.